The histology of pterygium includes –
1. Elastotic degeneration
2. Epithelial inclusion bodies
3. Precancerous changes
4. Squamous metaplasia of the epithelium

Correct answer: 1. Elastotic degeneration

Explanation: The two degenerative conditions of eye cause elastotic degeneration.
-Pinguecula & Pterygium